All the following fungi produce mycotic keratitis except
1. A niger
2. A fumigatus
3. Fusarium
4. Rhizopus

Correct answer: 4. Rhizopus

Explanation: All the mentioned fungus produce keratomycosis or mycotic keratitis including candida albicans-fungal infection of the cornea Rhizopus will not produce Ref: Baveja 5th ed pg.: 562